Antidepressant used in the prophylaxis of migraine -
1. Amitrvptiline
2. Fluoxetine
3. Citalopram
4. Trazadone

Correct answer: 1. Amitrvptiline

Explanation: Ans. is 'a' i.e.. Amitryptiline Prophylaxis of migraineAatrhypertensivesAntidepressantsAnticonvulsantsBeta blockersCalciumACETricyclycicSerotonin/horepinephrineValproateTopiramateGabapentino Metoprolol channel inhibitorsantidepressantsreuptake inhibitor o Propranolol bolckers ARB's|| o Timololo Verapamil o Amitryptilineo Venaiafaxine o Nimodiptne o Nortriptiline o Doxepin o Protriptyline